Type III reaction is -
1. Antibody mediated
2. Immune complex mediated
3. Cell mediated
4. None

Correct answer: 2. Immune complex mediated

Explanation: Type III hypersensitivity reaction is immune complex diseases. Damage is caused by antigen-antibody complexes. These may precipitate in and around small blood vessels causing damage to cells secondarily or on membranes, interfering with their function. Reference : Anathanarayan & paniker's 9th edition, pg no:162